Which one of the following drugs cannot cause Pseudotumor Cerebri ?
1. Salicylic acid
2. Nalidixic acid
3. Tetracycline
4. Nitrofurantoin

Correct answer: 1. Salicylic acid

Explanation: Conditions associated with Pseudotumor cerebrii
Metabolic toxic disorders

Hypervitaminosis A                            o Nalidixic acid therapy                    o Amiodarone
Hypovitaminosis A                              o Iron deficiency                             o Nitrofurantoin
Prolonged steroid therapy                o Hyperparathyroidism                    o Hypocalcemia
Steroid withdrawal                             o Adrenal insufficiency                o Lead poisoning
Tetracycline therapy                           o Chronic CO2 retention 

​
Infectious disorders

Poliomyelitis                 o Guillain bare syndrome             o Chronic Otitis media